The effect of thiopentone on the CNS is quickly terminated because of:
1. Rapid metabolism in the CNS
2. Quick first-pass elimination
3. Redistribution
4. Rapid metabolism in systemic circulation

Correct answer: 3. Redistribution

Explanation: Thiopentone is a ultra short acting barbiturates ,its action is terminated because of redistribution . thiopentone is highly lipid soluble ,after i.v injection consciousness is regained in 6-10 minutes due to redistribution ,while the ultimate disposal occurs by metabolism. Greater the lipid solubility of the drug ,faster is its redistribution. Ref: KD Tripathi 8th ed